All the following drugs used in medical management of fibroids decreases size except
1. Mifepristone
2. GnRH agonists
3. GnRH antagonists
4. NSAIDS

Correct answer: 4. NSAIDS

Explanation: Nonsteroidal anti-inflammatory drugs (NSAIDs) were not shown to be effective for the treatment of menorrhagia in women with fibroids.Treatment with GnRH-agonists decreases uterine volume, fibroid volume, and bleeding. However, the benefits of GnRH-a are limited by side effects and risks associated with long-term use.The immediate suppression of endogenous GnRH by daily subcutaneous injection of the GnRH antagonist ganirelix results in a 29% reduction in fibroid volume within 3 weeks. Treatment is accompanied by hypoestrogenic symptoms. The reduction in uterine size following treatment with the progesterone-blocking drug mifepristone is similar to that found with GnRH-agonistsReference: Novak's Gynaecology; 14th edition; Chapter 15; Uterine fibroids